Centrilobular necrosis in the liver is due to -a) Halothaneb) Chronic venous congestionc) Yellow feverd) Hemorrhagic shock
1. acd
2. bcd
3. abd
4. ab

Correct answer: 3. abd

Explanation: Centrilobular necrosis is also seen due to following liver toxins (7th/e p. 903) → Bromobenzene, halothane, Rifampicin, CCl4, Acetaminophen.